Sensory afferent fibres from the fallopian tubes ascend to :
1. T 8
2. T 10
3. L 2
4. L 4

Correct answer: 2. T 10

Explanation: Nerve supply in the pelvis : Perineum,vulva,lower vagina organ spinal segments Nerves 1 Perineum,vulva,lower vagina S2-4 pudendal,inguinal,genitofemoral,posterofemoral cutaneous 2 Upper vagina, cervix, lower uterine segment, posterior urethra, bladder trigone, uterosacral and cardinal ligaments,rectosigmoid, lower ureter S2-4 Pelvic parasympathetics 3 Uterine fundus, proximal fallopian tubes, broad ligament, upper bladder, caecum, appendix, terminal large bowel T11-12. L1 sympathetic hypogastric plexux 4 Outer 2/3rds of fallopian tubes, upper ureter T9-10 sympathetics aortic and superior mesentric plexus 5 Ovaries T9-10 sympathetics renal and aortic plexus and celiac and mesentric ganglia 6 Abdominal wall T12-L1 T12-L1 L1-2 Iliohypogastric Ilioinguinal Genitofemoral Shaw's textbook of Gynaecology 16th edition page no 22